A 40-year old male presents with history of vomiting of blood 2 hours ago. The volume of vomitus was estimated to be 500 ml. His BP was 90/58 mm Hg and pulse was 110/min. On abdominal examination, the spleen was palpable 5 cm below the costal margin. The most likely cause of the bleeding is
1. Portal hypertension
2. Gastric ulcer
3. Duodenal ulcer
4. Drug-induced mucosal erosion

Correct answer: 1. Portal hypertension

Explanation: Ans. a. Portal hypertension